Which is most commonly implicated in genital (vulval) warts ?
1. HPV 16
2. HPV 18
3. HPV 31
4. ITV 6

Correct answer: 4. ITV 6

Explanation: HPV 6 Most common human papilloma virus associated with genital warts is HPV-6. Human papilloma virus is a DNA virus. There are more than 70 types of human papilloma virus. A fairly good association exists between HPV type and the clinical lesions caused by them Warts can present clinically as : Type Verruca vulgaris (common warts) Verrucous papule son hands and feet 2, 4, 27, 29 Palmoplanar warts Superficial mosaic warts on palms and soles Deep myrmecia warts on palms and soles 1. 2, 4 Verruca plana Flat smooth papules on face 3, 10, 28, 49 Epidermodysplasmia Verrucoformis Plane wart like lesions on face and acral parts Pityriasis versicolar like lesions on trunks 3, 6, 10 Anogenital warts Sexually transmitted genital warts 6, 11, 16, 18, 31, 33 Genital warts are a cutaneous manifestation of infection with epidermotropic, sexually transmitted human papilloma virus. HPV is transmitted sexually in most cases. An individuals lifetime risk of HPV infection exceeds 50% but most are asymptomatically infected with only 1-2% developing genital warts. About 90% of genital warts are caused by infection with HPV types 6 and 11. Human papilloma virus also has oncogenic potential. According to consensus panel gathered by the WHO a large body of epidemiologic and biologic data has established that some HPV infections cause cervical cancer. For example, 95% of cervical cancers contain HPV DNA of oncogenic (high risk) types such as 16, 18, 31, 33 and 45. Human papilloma virus associated with Genital warts --> 6, 11 Cervical cancer --> 16, 18, 31